Which of the muscle in male is equivalent for vaginal sphincter in female?
1. Levator prostatae
2. Anococcygeal body
3. Puborectalis
4. Bulbospongiosus

Correct answer: 1. Levator prostatae

Explanation: The sphincter vaginae (levator prostatae in the male) form a sling around the vagina and are inserted into a mass of fibrous tissue, called the perineal body. Ref: Clinical Anatomy by Systems By Richard S. Snell, 2007, Page 861.